Characteristic features of Tubercular meningitis on MR imaging are?
1. Enhancing exudates predominantly involving basal cisterns
2. Diffuse leptomeningeal enhancement.
3. Hydrocephalus
4. All of the above

Correct answer: 4. All of the above

Explanation: Ans DIn TB meningitis there is inflammation of meninges so they enhance on post-contrast images. The exudates are predominantly deposited preferentially in basal cisterns where they either block the aqueduct of sylvius or arachnoid villi resulting in hydrocephalus. These exudates also enhance on post contrast enhancement - this basal enhancement is peculiar of TB meningitis.